Opsoclonus as a paraneoplastic manifestation is most commonly seen in
1. Renal cell carcinoma
2. Colon cancer
3. Hepatocellular cancer
4. Neuroblastoma

Correct answer: 4. Neuroblastoma

Explanation: Opsoclonus affects children more frequently than adults. Screening for occult neuroblastoma is necessary in all patients with opsoclonus.